Which of the following is true about Diphtheria except-a) Faucial diphtheria is more dangerous than laryngeal diphtheriab) Laryngeal diphtheria mandates tracheotomyc) Child is more toxic with faucial diphtheriad) Myocarditis may be a complicatione) Palatal paralysis is irreversible
1. abc
2. bcd
3. abe
4. acd

Correct answer: 3. abe